Retropharyngeal space extends from:
1. Skull base to tracheal bifurcation
2. Skull base to cricoid
3. Skull base to thoracic inlet
4. skull base to thyroid

Correct answer: 1. Skull base to tracheal bifurcation

Explanation: Ref: Grays Anatomy 40 th edition Pg: 568Explanation:Retropharyngeal space:It lies behind the pharynx between the buccopharyngeal fascia covering pharyngeal constrictor muscles and the alar facia which is the anterior leaf of pre vertebral fascia.It extends from the base of skull to the bifurcation of trachea.It permits the movement of the pharynx, esophagus, larynx, and trachea during swallowingThe space is divided into two lateral compartments (space of Gillette) by a fibrous raphe.Each lateral space contains retropharyngeal nodes which usually disappear at 3-4 years of age.Parapharyngeal space communicates with the retropharyngeal space.Infection of retropharyngeal space can pass down behind the oesophagus into the posterior mediastinum